Which of the following 5-HT3 blockers has highest receptor affinity -
1. Ondansetron
2. Granisetron
3. Dolasetron
4. Palonosetron

Correct answer: 4. Palonosetron

Explanation: Ans. is 'd' i.e., Palonosetron Palonosetron has maximum affinity for 5HT3 receptor.